The normal calorie requirement for a 5 year old child is-
1. 800 calories
2. 1000 calories
3. 1500 calories
4. 2000 calories

Correct answer: 3. 1500 calories

Explanation: Ans. is 'c' i.e., 1500 calories